RBC cast is present in:
1. Acute tubular nephritis
2. Acute glomerulonephritis
3. Acute Pyelonephritis
4. Acute interstitial nephritis

Correct answer: 2. Acute glomerulonephritis

Explanation: Ans. (b) Acute GlomerulonephritisRef.:Harrisott 18th edition,Acute NephroticHematuria, RBC castsAzotemia, oliguriaEdema, hypertensionChronic renal failure* Azotemia for >3 months* Prolonged symptoms or signs of uremia* Symptoms or signs of renal osteodystrophy* Kidneys reduce in size bilaterally* Broad casts in urinary sedimentNephrotic syndrome* Proteinuria > 3.5 g per 1.73 m2 per 24 h* Hypoalbuminemia* Edema* Hyperlipidemia